Following is true of T. pallidum, except -
1. Can be maintained in rabbit testis
2. Motile by peritrichate flagella
3. To visualise, dark ground microscopy is used
4. TPI test is very-useful

Correct answer: 2. Motile by peritrichate flagella